All are complication of Typhoid ulcer EXCEPT -
1. Perforation
2. Stricture
3. Haemorrhage
4. Endocarditis

Correct answer: 2. Stricture

Explanation: complications include: Intestinal:perforation,hemorrhage ExtraIntestinal:encephalopathy,meningitis,seizures,endocarditis,myocarditis,pneumonia etc GENERAL AND SYSTEMIC PATHOLOGY RAMDAS NAYAK PAGE NO:394